Which of the following is not seen in Horner syndrome?
1. Mydriasis
2. Ptosis
3. Anhidrosis
4. Enophthalmos

Correct answer: 1. Mydriasis

Explanation: Horner syndrome Characterized by damage to sympathetic chain FEATURES ARE- S Sympathetic Injury A Anhidrosis M Miosis P Ptosis L Loss of ciliospinal reflex E Enophthalmos Note: Pan coast tumor (Ca. lung) also can contribute to develop Horner syndrome